Propranolol is useful for all of the following except:
1. Angina
2. Familial tremor
3. Hypertension
4. Partial AV block

Correct answer: 4. Partial AV block